A child presents with massive hemetemesis and systemic hypotension (He has no fever or other significant history) Examination reveal massive splenomegaly but no hepatomegaly) Likely diagnosis is -
1. Hepatocellular carcinoma
2. Bleeding duodenal ulcer
3. Extrahepatic portal venous obstruction
4. Non-cirrhotic portal fibrosis

Correct answer: 3. Extrahepatic portal venous obstruction